A patient with parotid gland cancer has damage to the glossopharyngeal nerve. As a result, which of the following respiratory reflexes will be impaired?
1. Hering-Breuer inflation reflex
2. Juxta pulmonary capillary ( J) receptor reflex
3. Irritant airway reflex
4. Carotid body chemoreceptor reflex

Correct answer: 4. Carotid body chemoreceptor reflex

Explanation: The afferent pathway from the carotid body chemoreceptors is Hering's nerve, a branch of cranial nerve IX, the glossopharyngeal nerve. The vagus nerve constitutes the afferent pathway from the aortic chemoreceptors, the J receptors, the irritant airway receptors, and the rapidly adapting stretch receptors mediating the Hering-Breuer inflation reflex.